Most common organism causing post-transplant lymphoma is
1. EBV
2. HHV6
3. HSV1
4. HTLV-1

Correct answer: 1. EBV

Explanation: Post transplant lymphoproliferative disease (PTLD) is a well-recognized complication of both solid organ transplantation (SOT) and allogeneic hematopoietic stem cell transplantation (HSCT). It is one of the most common post transplant malignancies. In most cases, PTLD is associated with Epstein-Barr virus (EBV) infection of B cells, either as a consequence of reactivation of the virus post transplantation or from primary EBV infection; a consequence of the detrimental effect of immunosuppressive agents on the immune-control of EBV. In cases of primary infection, EBV may be acquired from the donor graft or, less commonly, from environmental exposure.